In development of male fetus following statements are true except
1. Gene on short arm of Y chromosome directs tests on development
2. During intrauterine life testes has no endocrine role in fetus
3. Around 8 weeks internal and external genitalia differentiates into male pattern
4. Antimullerian hormone inhibits development of mullerian system in male fetus

Correct answer: 2. During intrauterine life testes has no endocrine role in fetus

Explanation: In males, the sex-specific gene SRY that is found on the Y-chromosome initiates sex determination by downstream regulation of sex-determining factors, (such as GATA4, SOX9, and AMH), which leads to development of the male phenotype, including directing development of the early bipotential gonad down the male path of development.Ref: Ganong's review of medical physiology;24th edition; page no:-425